All of the following are true about Aspirin except:
1. At low doses it acts as an antiplatelet drug
2. It irreverssibly inhibits the synthesis of Thromboxane
3. It is used to inhibit Niacin induced Flushing.
4. It is a reversible inhibitor of COX

Correct answer: 4. It is a reversible inhibitor of COX

Explanation: Aspirin is an irreversible inhibitor of COX.